Auditory processing of spoken language is done by
1. Parietal lobe
2. Temporal lobe
3. Occipital lobe
4. Frontal lobe

Correct answer: 2. Temporal lobe

Explanation: Ans. (b) Temporal lobe(Ref: Ganong, 25th ed/p.291)Part of the temporal lobe concerned with auditory processing of spoken language is called Planum temporale. It is larger in left hemisphere